Vitamin D analogue calcitriol is useful in the treatment of ?
1. Lichen planus
2. Psoriasis
3. Phemphigus
4. Leprosy

Correct answer: 2. Psoriasis

Explanation: Ans. is 'b' i.e., Psoriasis